Which among the following glucose transporter present in myocyte which is stimulated by insulin?
1. GLUT 1
2. GLUT 2
3. GLUT 3
4. GLUT 4

Correct answer: 4. GLUT 4

Explanation: Glucose transporter 4 (GLUT 4) is found in two major insulin target tissues: skeletal muscle and adipose tissue. It is sequestered mainly within an intracellular compartment of these cells and thus does not function as a glucose transporter until insulin signaling causes translocation of GLUT 4 to the cell membrane, where it facilitates glucose entry into these tissues after a meal. In muscle, exercise also drives GLUT 4 translocation to the cell surface by activating AMPK. GLUT 1 is present in all human tissues. GLUT 2 is a major transporter of glucose in hepatic, intestinal, and renal tubular cells. GLUT 3 is found in all tissues, and it is the major glucose transporter on neurons. Ref: German M.S. (2011). Chapter 17. Pancreatic Hormones and Diabetes Mellitus. In D.G. Gardner, D. Shoback (Eds), Greenspan's Basic & Clinical Endocrinology, 9e.